During cardiac catheterization of a 6-year-old child, the radiologist notes that the contrast medium released into the arch of the aorta is visible immediately in the left pulmonary artery. What is the most likely explanation for this finding?
1. Atrial septal defect
2. Mitral stenosis
3. Patent ductus arteriosus
4. Patent ductus venosus

Correct answer: 3. Patent ductus arteriosus

Explanation: The ductus arteriosus is an embryologic structure that acts as a communication between the pulmonary trunk and the aorta. If it remains patent, the injected contrast medium would flow from the aorta through this communication and into the pulmonary artery. An atrial septal defect is a communication between the atria. Mitral stenosis is a narrowing of the AV valve between the left atrium and left ventricle. The ductus venosus transports blood from the left umbilical vein to the inferior vena cava, bypassing the liver. A ventricular septal defect is a communication between the ventricles.